Most common benign tumor of esophagus is -
1. Lipoma
2. Leiomyoma
3. Hamartoma
4. Hemengioma

Correct answer: 2. Leiomyoma

Explanation: . Leiomyoma